To which of the following cell types do 'heart-failure' cells belong?
1. Myocytes
2. Macrophages
3. Adipocytes
4. Pacemaker cells

Correct answer: 2. Macrophages

Explanation: Left-sided heart failure leads to pulmonary congestion and edema. There is extravasation of red cells and plasma proteins in the alveoli which are phagocytosed and digested by macrophages The accumulated iron from ingested red cells is stored as hemosiderin. These hemosiderin-laden macrophages are also known as heart failure cells and are telltale signs of previous episodes of pulmonary edema. The common causes of left-sided cardiac failure Ischemic heart disease (IHD) Systemic hypertension Mitral or aortic valve disease Primary diseases of the myocardium (e.g., amyloidosis)